Which is most significant finding in cardiotocography for detection of fetal hypoxia :
1. Late deceleration
2. Variable deceleration
3. Sinusoidal deceleration
4. Early deceleration

Correct answer: 1. Late deceleration

Explanation: Late deceleration